Trismus associated with infection of Lateral pharyngeal space is related to irritation of the
1. Buccinator
2. Masseter
3. Lateral pterygoid
4. Medial pterygoid

Correct answer: 4. Medial pterygoid